The guidelines according to baby friendly hospital initiative includes all of the following, except:
1. Encourage breast feeding on demand
2. Mothers and infant to be together for 24 hrs a day
3. Mothers should initiate breast - feeding within 4 hrs of normal delivery
4. Newborn infants should not be given food or drink other than breast milk

Correct answer: 3. Mothers should initiate breast - feeding within 4 hrs of normal delivery

Explanation: According to BFHI (Baby-Friendly Hospital Initiative), the mother should initiate breast-feeding within the first hour of birth in normal delivery and within 4 hours following caesarean section. Ref: Park's Textbook of Preventive and Social Medicine, 19th Edition, Page 444; Pediatric Primary Care By Catherine E. Burns, 5th Edition, Chapter 11